A child with fever presents with multiple tender erythematous skin lesions. n microscopic examination the skin lesions are seen to have neutrophilic infiltration in the dermis. What is the diagnosis -
1. Sweet syndrome
2. Behcet's syndrome
3. Pyoderma gangrenosum
4. Juvenile dermatosis

Correct answer: 1. Sweet syndrome

Explanation: A child with fever and multiple tender erythematous skin lesions with neutrophilic dermal infiltrate suggest the diagnosis of the sweet syndrome, a neutrophilic dermatosis.